Meissner's corpuscles present in which layer of skin?
1. Papillary dermis
2. Reticular dermis
3. Stratum basale
4. Stratum lucidum

Correct answer: 1. Papillary dermis

Explanation: Meissner's corpuscles (Tactile corpuscles) are a type of mechanoreceptor, responsible for sensitivity to light touch. -Location-most concentrated in thick hairless skin and in areas especially sensitive to light touch, such as the fingers and lips. -More specifically, they are primarily located in glabrous skin just beneath the epidermis within the dermal papillae.